An example of disability limitation is -
1. Immunization against tetanus
2. Providing children with polio with calipers
3. Resting the affected limb in neutral position
4. Arranging for schooling for children suffering from PRPP

Correct answer: 3. Resting the affected limb in neutral position

Explanation: Ans. is 'c' i.e., Resting affected limbs in neutral position